A 41 year old woman working as an Executive Director is convinced that the management has denied her promotion by preparing false reports about her competence and have forged her signature on sensitive documents so as to convict her. She files a complaint in the police station and requests for security. Despite all this she attends to her work and manages the household. She is suffering from :
1. Paranoid Schizophrenia
2. Late onset Psychosis
3. Persistent Delusional Disorder
4. Obsessive Compulsive Disorder

Correct answer: 3. Persistent Delusional Disorder

Explanation: C i.e. Persistent delusional disorder Important difference b/w schizophrenia & delusional disorder is that Behaviour, Personality & Contact with reality is Behaviour, Personality & contact with reality is markedly disturbedQ in all areas in case of disturbed in delusional area other wise person is schizophrenia normalQ in delusional disorder.